Multiple pulp stones are seen in
1. Down's syndrome
2. Elites Danlos syndrome
3. Marfan Syndrome
4. Apert's syndrome

Correct answer: 2. Elites Danlos syndrome

Explanation: Ehler Danlos syndromes:
Includes more than 10 different disorders involving a genetic defect in collagen and connective tissue synthesis.